Megaloblastic anemia due to folic acid deficiency is commonly due to -
1. Inadequate dietary intake
2. Defective intestinal absorption
3. Absence of folic acid binding protein in serum
4. Absence of glutamic acid in the intestine

Correct answer: 1. Inadequate dietary intake